Major neurotranmistter released at end organ effectors of the sympathatic division of the autonomic nervous is:
1. Adrenaline
2. Noradrenaline
3. Dopamine
4. Acetylcholine

Correct answer: 2. Noradrenaline

Explanation: ref; KD Tripathi pharmacology 6th edition (page no;116) Katzung 10/e p76 Noradrenaline (NA); It acts as a transmitter at postganglionic sympathetic sites (except sweat glands, hair follicles and some vasodilator fibres) and in certain areas of the brain. so noradrenaline is the Major neurotranmistter released at end organ effectors of the sympathatic division of the autonomic nervous Adrenaline (Adr); It is secreted by adrenal medulla and may have a transmitter role in the brain.Dopamine (DA); It is a major transmitter in basal ganglia, limbic system, CTZ, anterior pituitary, etc. and in a limited manner in the periphery.